Topical Mitomycin C is used for _________
1. Endoscopic treatment of angiofibroma
2. Treatment of skull base osteomyelitis
3. Sturge Weber syndrome
4. Treatment for laryngeal stenosis

Correct answer: 4. Treatment for laryngeal stenosis

Explanation: Topical application of Mitomycin C after endoscopic dilatation of laryngotracheal stenosis prevents restenosis. Mitomycin-C (MMC) inhibits fibroblast proliferation and synthesis of extracellular matrix proteins, and thereby modulates wound healing and scarring. Mitomycin C is an antibiotic isolated from Streptomyces caespitosus. It is an alkylating agent that undergoes metabolic activation through an enzyme-mediated reduction to generate an alkylating agent that cross-links DNA. Hypoxic tumor stem cells of solid tumors are more sensitive to the cytotoxic actions of mitomycin than normal cells and oxygenated tumor cells. Its main clinical use is in the treatment of squamous cell cancer of the anus along with fluorouracil and radiation therapy. Additional uses are in cancers of: - cervix - stomach - pancreas - lung - bladder (intravesical treatment)